Female hermaphrodite is?
1. Female sexual characterstic with testes
2. Male sexual charaterstic with ovary
3. XY
4. Female sexual characteristic with both testes & ovary

Correct answer: 2. Male sexual charaterstic with ovary

Explanation: Ans. is 'b' i.e., Male sexual characteristc with ovary Female pseudo hermaphroditism Have internal genitalia female type Katy() type XX Masculinisation of external genitalia Most common - CAN Congenital adrenal hyperplasia M-C. 21 hydroxylase deficiency Other cause excess maternal androgen due to - o Maternal ovarian tumor. Maternal drug intake Treatment Hormonal therapy